Which cell is not seen in Hodgkin lymphoma ?
1. Reed sternberg cell
2. Lacunar cell
3. L & H cell
4. Langerhan cell

Correct answer: 4. Langerhan cell

Explanation: Ans. is 'd' i.e., Langerhan cell